Active disinfectant property of bleaching powder is mainly due to formation of:
1. Hydrogen chloride
2. Hypochloric acid
3. Hypochlorous acid
4. Chloramines

Correct answer: 3. Hypochlorous acid

Explanation: The main action of disinfection due to chlorine is due to Hypochlorus acid (90% disinfection). Hypochlorite ions contributes 10% to disinfection. 2.5 gms of bleaching powder is required for disinfection of 1000 L of water. Bleaching powder or chlorinated lime (CaOCl2 ) is a white amorphous powder with a pungent smell of chlorine. When freshly made, it contains about 33 per cent of "available chlorine". It is, however, an unstable compound. On exposure to air, light and moisture, it rapidly loses its chlorine content. The chlorine content of bleaching powder stocks should be frequently checked.